A 30 year old man comes to the clinic with fever, malaise, halitosis and some lesions in the mouth. On examination, he is found to have lymphadenopathy, inflamed gingiva with ulcerations of the interdental papillae that bleed easily. What is he MOST likely suffering from?
1. Ludwig's angina
2. Vincent's angina
3. Oral thrush
4. Lemierre's disease

Correct answer: 2. Vincent's angina

Explanation: This patient is showing features of Vincent's angina, also known as acute necrotizing ulcerative gingivitis or trench mouth. It is a form of gingivitis characterized by painful, inflamed gingiva with ulcerations of the interdental papillae that bleed easily. It is caused by anaerobes. Treatment involves debridement and oral administration of penicillin plus metronidazole, with clindamycin alone as an alternative.